The hormone responsible for lactation is :
1. Prolactin
2. FSH
3. LH
4. Progesterone

Correct answer: 1. Prolactin

Explanation: Prolactin